About V. cholerae all statements are true except:
1. Nonhalophilic
2. Cannot grow in ordinary media
3. Can survive outside the intestine
4. Man is the only reservoir of cholera

Correct answer: 2. Cannot grow in ordinary media

Explanation: Ans. is 'b' i.e., Cannot grow in ordinary media.(Ref: Ananthanarayan, 9th/e, 304)Vibrio can grow very well on ordinary media as it is non-fastidious.Man is the only reservoir of Cholera infection. He may be the case or carrier.